True statement about obesity -
1. Dexenfluramine is drug of choice
2. Sibutramine is only or epinephrine uptake inhibitor
3. According to WHO body mass index greater then 25 is overweight
4. Long term effect of orlistat is known

Correct answer: 3. According to WHO body mass index greater then 25 is overweight